The action of adrenaline is potentiated in the presence of all except:
1. Halothane
2. Ethyl chloride
3. Cyclopropane
4. Ether

Correct answer: 4. Ether